All of the following are complications of Duchenne Muscular dystrophy except
1. Cardiomyopathy
2. Contractures
3. Malignant hypothermia after anaesthesia
4. Respiratory failure

Correct answer: 3. Malignant hypothermia after anaesthesia

Explanation: Malignant hyperthermia after anaesthesia occurs not malignant hypothermia.